Long term administration of glucocorticoids can cause all of the following except?
1. Proximal myopathy
2. Hyperkalemia
3. Hypertension
4. Cataract

Correct answer: 2. Hyperkalemia

Explanation: Ans. is 'b' i.e., Hyperkalemia o Glucocorticoids have some mineralocorticoid activity, thus they cause hypokalemia (not hyperkalemia).